Drug which produces Steven Johnson's syndrome in HIV infected individuals is:
1. Paraaminosalicylate
2. Cycloserine
3. Thioacetazone
4. Rifampicin

Correct answer: 3. Thioacetazone

Explanation: Thiacetazone (Tzn, Amithiozone) Thiacetazone was found to be the best out of many derivatives. It was tried in the west, formd to be hepatotoxic. and discarded. In India, interest in Tzn was revived in the 1960s for oral use along with INH as a substitute for PAS. Though, its importance has declined, it continues to be used as a convenient low cost drug to prevent emergence of resistance to INH and more active agents. Thiacetazone is a tuberculostatic, low efficacy drug; does not add to the therapeutic effect of H, S or E, but delays resistance to these drugs. The major adverse effects of Tzn are hepatitis, exfoliative dermatitis, Stevens-Johnson syndrome and rarely bone marrow depression. The common side effects are anorexia, abdominal discomfort, loose motions and minor rashes. A mild anaemia persists till Tzn is given. Tzn is a reserve anti-TB drug, sometimes added to INH in alternative regimens. ESSENTIALS OF MEDICAL PHARMACOLOGY K.D.TRIPATHI SIXTH EDITION PAGE NO:743